Least common complication of fall from height is
1. Fracture base of skull
2. Fracture calcaneum
3. Fracture fibula
4. Fracture 12th thoracic vertebra

Correct answer: 3. Fracture fibula

Explanation: C i.e. Fracture fibula Fall from height is the least important cause of fracture fibula as fibula does not lie in the direct axis of weight transmissionQ. Transverse or short oblique fractures of fibula occur mostly due to direct blow and isolated spiral fractures are often associated with ankle injuries Fall from height may be associated with fracture of weight transmission axis i.e. of calcaneum, talus, lower end / shaft / upper end tibia, supracondylar / shaft /neck femur, pelvis (pubic rami), dorsolumbar spine & base of skull (atlanto axial injury).